Mamographic abnormality seen in CA breast is?
1. Change in density
2. Microcalcification
3. Change in architecture
4. All

Correct answer: 4. All

Explanation: D i.e. All